All of the following are immune complex disease except -
1. Serum sickness
2. Farmer's lung
3. SLE
4. Graft rejection

Correct answer: 4. Graft rejection

Explanation: Type IV or delayed hypersensitivity reaction is tissue injury by T cell mediated immune response without formation of antibodies. - slow but prolonged response. Occur about 24 hours after exposure to antigen and effect may last for 14 days. Reaction against organ transplant i.e. transplant rejection is example of type IV hypersensitivity reaction. Reference: Harsh mohan text book of pathology, 7th edition, pg no:61